All are primary levels of prevention except
1. Health promotion
2. Specific protection
3. Early diagnosis and treatment
4. Immunization

Correct answer: 3. Early diagnosis and treatment

Explanation: Ans. c (Early diagnosis and treatment). (Ref. Park, PSM, 17th ed., 34, 281, 293)LEVELS OF PREVENTIONPrimordial prevention (MH 2005)It is first prevention in its purest form i.e. prevention of emergence of development of risk factor in countries or population groups in which they have not yet appeared.Efforts taken to discourage children from adopting harmful habits. Main intervention is through the individual or the mass education.Primary preventionAction taken prior to the onset of the disease, which removes possibility that a disease will ever occur. Intervention is done in a pre-pathogenesis phase of a disease. It is accomplished by health promotion, promotion of quality of life and specific protection. It is applied to prevention of chronic disease (CAD, hypertension and cancer) based on elimination/modification of the risk factors by two stratergies, namely; Population/mass and High risk.Secondary preventionAction which halts the progress of disease at its incipient stage and prevents complications. Intervention include early diagnosis and treatment. It is an imperfect tool in control of transmission.Tertiary preventionWhen a disease has advanced beyond its early stage, it is still possible to accomplish prevention by tertiary intervention in late pathogenesis phase. All measures available to decrease or limit impairment and disabilities, minimize sufferings and to promote adjustment to irremediable diseases.